Factor I and H deficiency causes
1. Typical HUS
2. Atypical HUS
3. TTP
4. Acute TTP

Correct answer: 2. Atypical HUS

Explanation: A typical HUS (Non - epidemic, diarrhea negative) : common cause factor H & I deficiency.